Tacrolimus belong to which class of drug ?
1. Calcineurin inhibitor
2. mTOR inhibitor
3. Hypoxathine inhibitor
4. Inosine inhibitor

Correct answer: 1. Calcineurin inhibitor

Explanation: Ans. is 'a' i.e., Calcineurin inhibitor